The lesion which is erythematous, recurrent and distributed along with the sensory nerve trunk is:
1. Herpes zoster
2. Erythema multiformae
3. Herpetic gingivo stomatitis
4. Recurrent aphthous

Correct answer: 1. Herpes zoster